Which of the following is an antiapoptotic gene:
1. Bax
2. Bad
3. Bcl-X
4. Bim

Correct answer: 3. Bcl-X

Explanation: . Bcl-X